Investigation of choice to demonstrate vesicoureteral reflux is:
1. Isotope cystogram
2. Contrast MCU
3. IVP
4. Cystoscopy

Correct answer: 2. Contrast MCU

Explanation: Ans. Contrast MCU